Platlet activation includes:
1. Adhesion.
2. Secretion.
3. Aggregation
4. All of the above.

Correct answer: 4. All of the above.